All are features of Meniere's disease except:
1. Hearing loss that fluctuates
2. Giddiness is provoked in certain head positions
3. Sense of pressure or fullness in the ear
4. Roaring tinnitus

Correct answer: 2. Giddiness is provoked in certain head positions

Explanation: Giddiness occurring in certain head positions such as bending forward to pick up an article or reaching for an article in the overhead shelf or turning one's position in the bed is a feature of benign paroxysmal positional vertigo (BPPV). The condition is due to free-floating particles (otoconia) in the endolymph of vestibular labyrinth. Due to change in head position, they settle on the cupula of posterior semicircular canal causing its deflection and giddiness.Meniere's disease is characterised by episodic vertigo, sense of fullness in the ear, fluctuating hearing loss and low-pitched roaring tinnitus.